Treatment of dhatura poisoning is done with:
1. Pilocarpine
2. Naloxone
3. Physostigmine
4. Neostigmine

Correct answer: 3. Physostigmine

Explanation: Ans. Physostigmine